M.E.L.D score includes all except?
1. Serum albumin
2. Serum creatinine
3. Serum bilirubin
4. INR

Correct answer: 1. Serum albumin

Explanation: Model for end stage liver disease Serum creatinine Serum Bilirubin INR